All of the following are true about acarbose, EXCEPT:
1. Controls both pre and post-prandial hyperglycemia
2. When it is given alone, there is no risk of hypoglycemia
3. It is an alpha glucosidase inhibitor
4. It delays progression of diabetes

Correct answer: 1. Controls both pre and post-prandial hyperglycemia

Explanation: Acarbose is an alpha-glucosidase inhibitor which reduce intestinal absorption of starch, dextrin, and disaccharides by inhibiting the action of alpha-glucosidase in the intestinal brush border. Inhibition of this enzyme slows the absorption of carbohydrates from the GI tract and blunts the rate of rise of postprandial plasma glucose. It has been demonstrated to reduce the progression from impaired glucose tolerance to type 2 diabetes. When acarbose is given alone, there is no risk of hypoglycemia. Ref: Powers A.C., D'Alessio D. (2011). Chapter 43. Endocrine Pancreas and Pharmacotherapy of Diabetes Mellitus and Hypoglycemia. In L.L. Brunton, B.A. Chabner, B.C. Knollmann (Eds), Goodman & Gilman's The Pharmacological Basis of Therapeutics, 12e.